Bird of prey sign is seen in
1. Gastric volvulus
2. Intussusception
3. Sigmoid volvulus
4. Caecal volvulus

Correct answer: 3. Sigmoid volvulus

Explanation: Sigmoid volvulus is a cause of large bowel obstruction and occurs when the sigmoid colon twists on the sigmoid mesocolon. Imaging signs areRadiograph:coffee bean signFrimann Dahl's sign - three dense lines converge towards the site of obstructionabsent rectal gas water-soluble contrast enema - the beak sign (or bird beak sign). CTlarge gas-filled loop without haustral markings, forming a closed-loop obstructionwhirl sign: twisting of the mesentery and mesenteric vesselsbeak sign: if rectal contrast has been administered (Ref: Grainger and Allison's diagnostic radiology 6th edition, chapter 25)